Muscle causing flexion of hip
1. Biceps femoris
2. Psoas major
3. Gluteus maximus
4. Tensor fasciae latae

Correct answer: 2. Psoas major

Explanation: Hip flexion is brought about by the action of iliopsoas aided by the rectus femoris ,sartorius, and pectineus.Tensor fasciae latae(TFL) aids gluteus minimus and medius in abduction and medial rotation.Gluteus maximus helps in extension and lateral rotation.Biceps femoris helps inflexionReference : Clinical Anatomy for students, a problem solving approach, Neeta v Kulkarni, 2nd edition, page no.932